'DUODENAL BLOWOUT' is ?
1. Perforation of duodenal ulcer
2. Iatrogenic
3. Complication of partial gastrectomy
4. Due to trauma

Correct answer: 3. Complication of partial gastrectomy

Explanation: Ans. is 'c' i.e., Complication of partial gastrectomy